A person has received a complete immunization against tetanus 10 years ago. Now he presents with a clean wound without any lacerations from an injury sustained 2.5 hours ago. He should now be given -
1. Full conurse of tetanus toxoid
2. Single dose of tetanus toxoid
3. Human tet globulin
4. Human tet globulin and single dose of toxoid

Correct answer: 2. Single dose of tetanus toxoid

Explanation: Single dose of tetanus toxoid. In this question ,a person has received complete immunisation against tetanus 10 years ago. Now he is in immunity category B Now, he present with a clean wound without any lacerations Thus he should now be given single dose of tetanus toxoid. Reference:Park's textbook of preventive and social medicine,K.Park,23rd edition,page no:312-314.